Cutaneous sign of diabetes mellitus are all except
1. Necrobiosis lipoidica
2. Carotinosis
3. Shin spots (granuloma annulare)
4. Angiokeratomas

Correct answer: 4. Angiokeratomas

Explanation: Ans: d (Angiokeratomas)Ref: IADVL, 3rd ed. vol. 2 pg. 1369- 1371Angiokeratoma corporis diffusum is a manifestation of Fabry's disease. All others are dermatological manifestations of diabetes mellitus.Skin manifestations of diabetis mellitus: Diabetic dermopathy Pigmented pretibial papules Shin spots Necrobiosis lipoidicaClear cell syringoma Diabetic bullae Xanthoma rubeosis